Common Facial vein is formed by the union of
1. Anterior facial and posterior facial veins
2. Anterior facial and posterior auricular veins
3. Anterior facial and maxillary veins
4. Anterior facial and anterior branch of the posterior facial vein

Correct answer: 4. Anterior facial and anterior branch of the posterior facial vein

Explanation: The scalp on each side of the midline is drained by five veins. The veins of the scalp accompany the arteries and have similar names. These are as follows:

Supratrochlear and supraorbital veins: They join each other at the medial angle of the eye to form the angular vein, which continues downwards as the facial vein behind the facial artery.
Superficial temporal vein: It descends in front of tragus to enter the parotid gland where it joins the maxillary vein to form the retromandibular vein, which terminates by dividing into anterior and posterior divisions. The anterior division unites with the facial vein to form common facial vein, which drains into the internal jugular vein.
Posterior auricular vein: It descends behind the auricle and  unites with the posterior division of the retromandibular vein to form the external jugular vein, which drains into the subclavian vein.
Occipital vein: It terminates in the suboccipital venous plexus.